Which of the following drug is responsible for extrapyramidal side effects?
1. Metoclopramide
2. Cisapride
3. Domperidone
4. All of the above

Correct answer: 1. Metoclopramide

Explanation: Ans. A. MetoclopramideMetoclopramide and domperidone both block the D2 receptor. Metoclopramide can cross the BBB whereas domperidone do not cross. So extrapyramidal side effects are seen with Metoclopramide.